Lithium is used in a pregnant woman. Which of the following congenital anomaly occurs in foetus:
1. Tetralogy of Fallot's
2. Tricuspid atresia
3. Ebstein anomaly
4. Pulmonary stenosis

Correct answer: 3. Ebstein anomaly

Explanation: Ans. is 'c' Ebstein's Anomaly Intake of lithium causes Ebstein's anomaly in fetus.Other important Teratogenic drugs :ACE Inhibitor-Renal damagePhenytoin*-Fetal hydantoin syndrome, hypoplasia of distal phalangesValproic acid*-Neural tube defectsThalidomide*-PhocomeliaEthanol*-Risk of fetal alcohol syndrome and alcohol related neurodevelopmental defects.Isotretinoin*-Neural tube defect*Cleft palate*ASD*Microcephaly*Warfarin*-Conradi's syndrome *Craniofacial anomalies*Chondrodysplasia punctata